Inflation of lungs induces further inflation is called
1. Hering-Breuer inflation reflex
2. Heads paradoxical reflex
3. Frank-starling law
4. J reflex

Correct answer: 2. Heads paradoxical reflex

Explanation: Definition. The Head's paradoxical reflex occurs in case of cold block (or in general irritation) of the vagus nerve. The inflation inhibition explained by Hering-Breuer inflation reflex is annulled and a deep breath occurs Ref: guyton and hall textbook of medical physiology 12 edition page number: 334,335